Minimum effective dose of oestrogen in OCP’s is
1. 20 mcg
2. 30 mcg
3. 40 mcg
4. 50 mcg

Correct answer: 1. 20 mcg

Explanation: Combined oral pills
Combined oral pills contain a mixture of ethinyloestradiol (EE2) in a dose of 20 to 30 μg and an orally active progestogen which is a 19-norsteroid. Mala-D contains 0.5 mg of d-norgestrel and Mala-N contains 1 mg norethisterone; these are available free of cost in India. The tablets are taken starting on the second day of the cycle for 21 days. A new course of tablets should be commenced 7 days after the cessation of the previous course. They should be taken at a fixed time of the day, preferably after a meal.